Mandibular nerve supplies:
1. Anterior belly of digastric, mylohyoid, tensor tympani, tensor palati
2. Posterior belly of digastric, mylohyoid
3. Stapes, malleus, incus
4. Anterior belly of digastric, stapes

Correct answer: 1. Anterior belly of digastric, mylohyoid, tensor tympani, tensor palati